Earliest visual field change in open angle glaucoma is –
1. Paracentral scotoma
2. Ring scotoma
3. Siedel's scotoma
4. Arcuate scotoma

Correct answer: 1. Paracentral scotoma

Explanation: Earliest clinically significant field defect is small wing-shaped paracentral scotoma.